The main site of fluoride inhibition in the Embden-Meyerhof pathway of acid:
1. ATPase
2. Enolase
3. Pyruvate kinase
4. Fructose -6 phosphatase

Correct answer: 2. Enolase